A patient has presented with carcinoma rectum with obstruction in emergency. What is the treatment of choice?
1. Hartman's Procedure
2. Total colectomy
3. Left hemi-colectomy
4. Defunctioning colostomy

Correct answer: 4. Defunctioning colostomy

Explanation: Most common site of colorectal cancer is rectum, in obstructing carcinoma rectum loop colostomy or defunctioning colostomy should be done to relieve obstruction followed by neoadjuvant chemoradiation, with the plan to resect the primary lesion at a later time.